Lower border of pharynx is at the level of (Extent of pharynx is upto) ?
1. C2
2. C3
3. C4
4. C6

Correct answer: 4. C6

Explanation: Ans. is 'd' i.e., C6 Pharynx is a musculomembranous tube that extands from the base of skull to the level of the sixth cervical vertebra, where it is continuous with esophagus. Pharynx is subdivided into :? I) Nasopharynx :- Part of the pharynx above the soft palate, i.e. from the base of skull to the soft palate? 2) Oropharynx :- Extends from the soft palate superiorly to the level of hyoid inferiorly. 3) Hypopharynx :- The hypopharynx includes that portion of the pharynx below the level of the hyoid.